Not seen in fecal pollution is
1. Staphylococcus
2. Streptococcus
3. E.coli
4. Clostridium perfringens

Correct answer: 1. Staphylococcus

Explanation: The primary bacterial indicator recommended for faecal contamination is the coliform group of organisms as a whole (E.Coli)Supplementary indicator organisms are faecal streptococci and sulphite-reducing clostridia.Park 23e pg: 720